The root value of axillary nerve is
1. C5, C6
2. C7, C8
3. C8, T1
4. C5, T1

Correct answer: 1. C5, C6

Explanation: axillary nerve also known as circumflex nerve - The axillary nerve is a branch of the posterior cord of the brachial plexus and the root value is C5 , C6. Axillary or circumflex nerve is an important nerve because it supplies the deltoid muscle which is the main abductor of the arm. Ref : B D Chaurasia's Human Anatomy , Seventh edition, volume 1 , pg. no, 75.